Thinnest part of lens is?
1. Anterior pole
2. Posterior pole
3. Posterior capsule
4. Apex

Correct answer: 2. Posterior pole

Explanation: Posterior pole REF: Cataract and refractive surgery: Volume 1; Volume 1 by Thomas Kohnen (Dr. med.), Thomas Kohnen, Douglas D. Koch page 134, Age-Related Changes Of The Human Eye by Carlo Cavallotti, Luciano Cerulli page 68 In all age groups, the thinnest part of the lens capsule was found at the posterior pole. The back or posterior capsule is thinner, and thinnest at the pole. The anterior capsule is the thicker and stronger of the two, its center being its thickest part, while the center of the posterior capsule is its thinnest part. Cataract formation at the posterior pole of the lens can be explained by a missing epithelial barrier and by the thinnest part of the lens capsule.